Which of the following is associated with hydatidiform mole -
1. Follicular cyst
2. Theca lutein cyst
3. Ovarian adenoma
4. Pseudocyst ovary

Correct answer: 2. Theca lutein cyst

Explanation: Ans. is 'b' Theca lutein cyst (Ref. Chandrasoma Tylor, 3/e, p 765).Theca lutein cysts are multiple cysts occurring in patients with trophoblastic neoplasm that secrete human chorionic gonadotropin*.It occurs due to luteinization of follicles cells of the ovary by the HCG.It regresses spontaneously on the removal of tumour*.